Which of the following is most resistant to antiseptics
1. Prion
2. Spore
3. Fungus
4. Cyst

Correct answer: 1. Prion

Explanation: Capsules may be readily demonstrated by negative starting in wet films with India ink , when they are seen as clear halos around the bacteria aganist a black background Ref :Ananthanarayan & paniker's Textbook of microbiology 9th edition pg no 18